All of the follwing types of Renal Stones are Radiopaque, Except:
1. Oxalate
2. Uric Acid
3. Cystine
4. Mixed

Correct answer: 2. Uric Acid

Explanation: Answer is B (Uric Acid): Uric acid stones are characteristically Radiolucent